The most appropriate circuit for ventilating a spontaneously breathing infant during anaesthersia is
1. Jackson rees modification of Ayre's t piece
2. Mapleson a or magill'scircuint
3. Mapleson c or Waters to and fro canister
4. Bains circuit

Correct answer: 1. Jackson rees modification of Ayre's t piece

Explanation: (Refer: Morgan and Mikhail's Clinical Anaesthesiology, 5th edition, pg no.33)